The gene responsible for folic acid transport is situated on which chromosome ?
1. 10
2. 5
3. X
4. 21

Correct answer: 4. 21

Explanation: 21[Ref : Folic acid transport * Chromosome location -4 21 q 223. * Gene name --> SLC I 9AI solute carrier family 19 (folate transporter), member * Gene product/function --) Transporter for the intake of folate. Transport of folate occurs by novel mechanism called potocytosis which functionally couples three components namely the folate receptor, the folate transporter and v-type h+ pump. * Alleles --> A 80G single nucleotide polymorphism